First immunoglobulin to appear following infection -
1. IgG
2. IgM
3. IgA
4. IgE

Correct answer: 2. IgM

Explanation: IgM is a heavy molecule. - IgM molecules are polymers of five four-peptide subunits. IgM is relatively short-lived - hence their demonstration in serum indicates recent infection. ReReference:nathanarayan & paniker's 9th edition, pg no: 98